Best method for detecting minimal Bronchiectasis
1. Bronchogram
2. CT Scan
3. Radio nucleotide scan
4. Chest X Ray

Correct answer: 2. CT Scan

Explanation: B i.e. CT Scan High Resolution CT ScanQ with sensitivity 97% & specificity almost 100% has become the investigation of choiceQ. Investigation of IInd choice is BronchographyQ which is now occasionally used in recurrent hemoptysis when all other investigations are negativeQ, to demonstrate bronchopleural fistulas and congenital lesions such as sequestration & agenesis. It is C/I in massive hemoptysisQ, active infections (TB, pneumonia) & impaired pulmonary function.